The role of vitamin K in epoxide cycle is -
1. Carboxylation of aspartate
2. Dehydrogenation of glucatamate
3. Carboxylation of glutamate
4. Dehydrogenation of aspartate

Correct answer: 3. Carboxylation of glutamate

Explanation: Ans. is 'c' i.e., Carboxylation of glutamate o The only known biological role of vitamin K is as a cofactor for an enzyme carboxylase that catalyzes carboxylationQ of glutamic acid (glutamate )Q residues on vitamin K-dependent proteins. The important vitamin K dependent proteins are ; -i) Coagulation proteins: - Factor IIQ (prothrombinQ), factor VIIQ (proconvertin0), factor IXQ (christmas factor), and factor XQ (Stuart-Prower factor),ii) Anticoagulation proteins : - Proteins Q S and Z.iii) Gas 6